Nail bed of Index finger is supplied by:
1. Ulnar Nerve
2. Radial Nerve
3. Median Nerve
4. All of above

Correct answer: 3. Median Nerve

Explanation: Ans. C. Median NerveMedian nerve innervate skin on the palmar surfaces of the lateral three and one-half digits and adjacent palm as well as v' cutaneous regions over the dorsal aspects of the distal phalanges (nail beds) of the same digits.Ulnar nerve supply skin on the palmar & dorsal surface of the little finger and the medial half of the ring finger & adjacent palm.Superficial branch of radial nerve provides cutaneous innervations to 1) lateral 2/3rd of dorsum of hand 2) dorsum of index finger, middle finger and lateral half of ring finger over proximal and middle phalanx.